Total body water is ?
1. 40% of body weight
2. 20% of body weight
3. 10% of body weight
4. 60% of body weight

Correct answer: 4. 60% of body weight

Explanation: Ans. is d i.e., 60% of body weight